Differential diagnosis of Nonaccidental injury is all except?
1. Osteogenesis imperfecta
2. Scurvy
3. Caffey's disease
4. Osteopetrosis

Correct answer: 4. Osteopetrosis

Explanation: Ans DD/D of NAI consists all paediatric diseases where there is mostly normal bone pattern and multiple fractures. Osteopetrosis consists of diffuse increase in sclerosis of all bones and pathological fractures can be easily differentiated from NAI.